Incision for medico legal autopsy include all except?
1. 'I' shaped
2. 'Y' shaped
3. Modified 'I' shaped
4. Modified 'Y' shaped

Correct answer: 3. Modified 'I' shaped

Explanation: Types of Skin Incisions : I - shaped incision: Incision extending from the chin straight down to the symphysis pubis. Most common method. Y-shaped incision: 2 incisions each starting from acromian processes, meet in the midline near xiphisternum and then extend downwards straight Modified Y-shaped incision: An incision is made in midline from suprasternal notch to symphysis pubis. It then extends from suprasternal notch to the mastoid processes on each side. It is used when a detailed study of neck organs is required, like in hanging or strangulation. Preferred in the case of asphyxial death due to neck compression T-shaped or 'bucket handle' incision: A transverse incision in the neck is opened from acromion to acromion process (bisacromial) along the line of clavicles. Then a single midline incision is made down the anterior body wall, avoiding the umbilicus, to pubis. Elongated X shaped incision: Incision on back of body. Preferred in custodial deaths